Gardner's syndrome is associated with all except
1. Sebacious cyst
2. Desmoid tumor
3. Bony exostosis
4. Brain tumor

Correct answer: 4. Brain tumor

Explanation: Brain tumor is seen with turcot syndrome.